Blood stained nipple discharge is seen in
1. Breast abscess
2. Fibroadenoma
3. Ductal papilloma
4. fat necrosis

Correct answer: 3. Ductal papilloma

Explanation: Discharge can occur from single or multiple ducts. The discharge acn be clear serous discharge ,blood stained,black or greenish discharge. Blood stained discahrge is seen in duct ectasia,duct papilloma,mammary dysplasia. Bailey and Love'sSho practice of surgery.Edition 23.Pg no:753